Culex mosquito transmits:
1. Yellow fever
2. Dengue fever
3. Tularemia
4. Japanese encephalitis

Correct answer: 4. Japanese encephalitis

Explanation: Ans: D (Japanese encephalitis) Ref: 21st edition Park.Explanation:The diseases transmitted by various insects are* Anopheles mosquito- MalariaFilaria (not in India)Culex mosquitoBancroftian FilariasisJapanese EncephalitisWest Nile feverViral Arthritis (epidemic / polyarthritis)Aedes mosquitoYellow fever (not in India)DengueDengue Haemorrhagic feverChikungunya feverChikungunya haemorrhagic feverRift Valley feverFilaria (not in India)Mansonoides mosquitoMalayan (Brugian) filariasisChikungunya feverHouseflyTyphoid and paratyphoid feverDiarrhoeaDysentryCholeraGastroenteritisAmoebiasisHelminthic infestationsPoliomyelitisConjucntivitisTrachomaAnthraxYawsSandflyKala-azarOriental SoreSandfly feverOraya FeverTsetse FlySleeping SicknessLouseEpidemic TyphusRelapsing FeverTrench FeverPediculosisRat FleaBubonic PlagueEndemic TyphusChiggerosisHymenolepis diminutaBlack FlyOnchocerciasisReduvid BugChagas DiseaseHard TickTick TyphusViral EncephalitisViral FeversViral Hemorrhagic fevers (eg KFD)TularemiaTick ParalysisHuman BabesiosisSoft TickQ FeverRelapsing FeverTrombiculid MiteScrub TyphusRickettsial PoxItch-miteScabiesCyclopsGuinea WormFish Tape wormCockroachesEnteric Pathogens